Urachus fistula is a remanant of ?
1. Yolk sac
2. Allantois
3. Chorion
4. Amnion

Correct answer: 2. Allantois

Explanation: Urachus fistula is a remnant of allantoic diverticulum If patent urachus in adults, urine dribbles from umbilicus known as wheeping umbilicus Inderbir Singh's Human embryology Pg 97